'Clue cells' are seen in:
1. Bacterial vaginosis
2. Vaginal Candidiasis
3. Chlamydial vaginosis
4. Trichomoniasis

Correct answer: 1. Bacterial vaginosis

Explanation: Clue cells are epethelial cells covered with bacteria and are identified on microscopy. They are characteristic of Bacterial Vaginosis. Ref: Clinical Obstetrics and Gynaecology by Brian A. Magowan, Philip Owen, James Drife, Pages 125-134.